School of fish appearance is shown by:
1. Hemophilus ducreyi
2. Gonococcus
3. Chlamydia
4. Donovania granulomatis

Correct answer: 1. Hemophilus ducreyi

Explanation: A i.e. Hemophilus ducreyi